Subcapsular plexus of lymphatics from the thyroid drains into
1. Level I
2. Level III
3. Level VII
4. Level VI

Correct answer: 4. Level VI